A middle age male patient met with a road traffic accident & is brought to emergency in an unconscious state. CT abdomen reveals a splenic laceration, emergency splenectomy is done & patient is shifted to ICU. His BP remains low in post op period even after a bolus of normal saline. O/E- he is afebrile, has moon like face with central obesity & presence of violet striae over abdomen. Repeat CT scan of the chest, abdomen, and pelvis shows no hemorrhage. What is the next best step in management of this patient?
1. Return to the operating room for exploratory laparotomy
2. Administer hydrocortisone 100 mg IV
3. Administer vancomycin and piperacillin/tazobactam
4. Perform MRI of the spine.

Correct answer: 2. Administer hydrocortisone 100 mg IV

Explanation: Moon like facies, central obesity & abdominal striae are signs of glucocorticoid excess - endogenous (Cushing syndrome)/ exogenous. A physiologic stressor (trauma) may trigger adrenal crisis. Acute adrenal insufficiency requires immediate initiation of rehydration (saline infusion at initial rates of 1 L/hr) with continuous cardiac monitoring. Glucocorticoid replacement- initiated by bolus injection of 100 mg of hydrocortisone, followed by the administration of 100-200 mg of hydrocortisone over 24 hours. Mineralocorticoid replacement can be initiated once the daily hydrocortisone dose is <50 mg as at higher doses, hydrocortisone provides sufficient stimulation of mineralocorticoid receptors.